One of your patients on examination was found to have macro orchidism. All the following conditions are associated with macro orchidism, EXCEPT:
1. Fragile X syndrome
2. Hypothyroidism
3. Hypopituitarism
4. Idiopathic sexual precocity

Correct answer: 3. Hypopituitarism

Explanation: Hypopituitarism is associated with micro orchidism. All the other conditions mentioned above are associated with macro orchidism. Also know Causes of micro orchidism Klinefelters syndrome Laurence - Moon biedl syndrome Hypopituitarism Rudimentary testes syndrome Ref: Meharban Singh, Edition 3, Page 110.